Microdeletion is seen in?
1. Beta thalassemia
2. Di George syndrome
3. Marfan's syndrome
4. All

Correct answer: 2. Di George syndrome

Explanation: Robbins basic pathology 9th edition page no 237,Heading =Deletion syndrome DiGeorge syndrome is caused by a small interstitial deletion of band 11 on the long arm of chromosome 22